A 61-year-old woman who is 5 feet, 3 inches tall and weighs 125 pounds (57 kg) tells the nurse that she has a glass of wine two or three times a week. The patient works for the post office and has a 5-mile mail-delivery route. This is her first contact with the health care system in 20 years. Which of these topics will the nurse plan to include inpatient teaching about cancer? (Select all that apply.)
A. Alcohol use
B. Physical activity
C. Body weight
D. Colorectal screening
E. Tobacco use
F. Mammography
G. Pap testing
H. Sunscreen use
1. D,F,G,H
2. A,B,C,D
3. D,A,E,C
4. All of the above

Correct answer: 1. D,F,G,H

Explanation: The patient’s age, gender, and history indicate a need for teaching about or screening or both for colorectal cancer, 
mammography, Pap smears, and sunscreen. 
The patient does not use excessive alcohol or tobacco, she is physically active, ​ and her body weight is healthy